A forceps rotation of 30degfrom left occiput anterior (OA) to OA with extraction of the fetus from +2 station would be described as which type of delivery?
1. Outlet forceps
2. Low forceps
3. Mid-forceps
4. High forceps

Correct answer: 2. Low forceps

Explanation: In the late 1980s and early 1990s, the classic definitions of forceps deliveries were slightly altered to conform with obstetric reality and the need for realistic definitions of procedures vis-a-vis both medical and legal guidelines and standards. Outlet forceps delivery requires a visible scalp, the fetal skull on the pelvic floor, the sagittal suture in essentially OA position, and the fetal head on the perineum. A rotation can occur, but only up to 45deg. A low forceps delivery requires a station of at least +2 but not on the pelvic floor. Rotation can be more than 45deg. Mid-forceps delivery is from a station above +2, but with an engaged head. High forceps delivery, for which there are no modern indications, would reflect a head not engaged.